Lining epithelium of fallopian tube is
1. Simple columnar
2. Psudo-stratified columnar
3. Ciliated columnar
4. Simple cuboidal

Correct answer: 3. Ciliated columnar

Explanation: INDERBIR SINGH'S TEXTBOOK OF HUMAN HISTOLOGY-PAGE NO:354 The uterine tube is characterized by presence of numerous branching mucosal folds that almost fill the lumen of the tube The mucosa is lined by ciliated columnar epithelium The uterine tube has a muscular wall with an inner circular and outer longitudinal layer